Anti-depressant drug which is used for smoking cessation is?
1. Venlafaxine
2. Topiramate
3. Bupropion
4. Amitriptyline

Correct answer: 3. Bupropion

Explanation: Bupropion is antismoking drug Buspirone is a drug which is used for anxiety